HPV (Human papilloma virus) vaccine is:
1. Monovalent
2. Bivalent
3. Quadrivalent
4. Bivalent and Quadrivalent

Correct answer: 4. Bivalent and Quadrivalent

Explanation: Bivalent and Quadrivalent